Frisch bacillus affects most commonly -
1. Mouth
2. Nose
3. Eye
4. Ear

Correct answer: 2. Nose

Explanation: Ans. is 'b' i.e., Noseo Frisch bacillus is Klebsiella rhinoscleromatis, which causes rhinoscleroma, a granulomatous disease of nose.Bacteria and their alternate nameso Bordetellao Clostridium tetanio Corynebacterium diphtheriaeo Corynebacterium pseudotuberculosiso Haemophilus aegypticuso Haemophilus influenzao Klebsiella pneumoniao Klebsiella ozaenaeo Klebsiella Rhinoscleromatiso Mycobacterium tuberculosiso Mycobacterium intracellulareo Mycobacterium paratuberculosiso Mycoplasmao Pseudomonas pseudomalleiBordet Gengou bacillusNicolaire s bacillusKlehs-Loeffler '.s bacillusPreisz-Nocard bacillusKoch-Weeks bacillusPfeiffer s bacillusFriedlander s bacillusAbel's bacillusFrisch's bacillusKoch's bacillusBatteys bacillusJohne's bacillusEaton agentWhitmore s bacillus